If the tyrosinase gene is defective, it results in:
1. Lack of pigmentation
2. Maple syrup urine disease
3. Phenylketonuria
4. Kidney stones

Correct answer: 1. Lack of pigmentation

Explanation: Defect in Tyrosinase leads to Albinism, which presents with hypopigmentation.